Not a pyTethram derivative?
1. Cypermethrin
2. Penncthrin
3. DDT
4. Resmethrin

Correct answer: 3. DDT

Explanation: Ans. is 'c' i.e., DDT